Shrinking lung syndrome is seen most commonly in -
1. SLE
2. Scleroderma
3. Rheumatoid arthritis
4. Ankylosingspondilytis

Correct answer: 1. SLE

Explanation: Ans. is 'a' SLE Shrinking Lung syndrome* First described by Hoffbrand and beck in 1965.* It manifests as dysnea and is best characterized as diaphragmatic dysfunction leading to diminished lung volumes.* Radiographic evaluation shows diaphragmatic elevation with bibasilar atelectasis - in the absence of parenchymal lung abnormalities.* PFT reveals a restrictive ventilator defect and a decrease in DLCO, that normailses when corrected for alveolar volume.* The hallmark of shrinking lung is the presence of these PFT features in the absence of parenchymal lung abnormalities but with disproportionately severe dysnea.* This is a typical feature of the pulmonary involvement of systemic lupus erythematosus.